Hypergonadotropic hypogonadism is due to all except
1. Pure gonadal dysgenesis
2. Turners syndrome
3. Hypothyroidism
4. Premature ovarian failure

Correct answer: 3. Hypothyroidism

Explanation: Hypothyroidism results in Hypogonadotropic Hypogonadism.